Factors which decrease insensible water losses are all, except –
1. Humidified air
2. Sedation
3. Hypothermia
4. Prematurity

Correct answer: 4. Prematurity

Explanation: Prematurity increases insensible water loss.